X-ray findings specific for exposure to asbestos include
1. Bilateral pulmonary fibrosis
2. Pulmonary nodules
3. Pleural effusion
4. Pleural calcification

Correct answer: 4. Pleural calcification

Explanation: A common finding in people who have been exposed chronically to asbestos is calcification of the pleura and diaphragm. The pleural calcification is often unilateral. The pattern of calcification is unique and easily differentiated from that caused by trauma and surgery. Calcification of the diaphragm is so rare that this finding is almost pathognomonic for asbestosis. Bilateral fibrosis is not a specific finding in the diagnosis of asbestosis. Although pleural effusion is not specific, its presence in a patient with asbestosis should prompt a search for bronchogenic carcinoma or mesothelioma.